A 10-year-old boy has a fracture of femur. Biochemical evaluation revealed Hb 11.5 gm/dL and ESR 18 mm 1st hour. S. calcium 12.8 mg/dL, S.phosphorus 2.3 mg/ dL alkaline phosphate 28 KA units and blood urea 32 mg/dL. Which of the following is the most probable diagnosis in his case:
1. Nutritional rickets
2. Renal rickets
3. Hyperparathyroidism
4. Skeletal dysplasia

Correct answer: 3. Hyperparathyroidism

Explanation: Blood investigations reveal normal ESR, hypercalcemia, hypophosphatemia and raised ALP levels with normal B.urea- Hyperparathyroidism can give rise to this picture. Renal rickets- S. phosphate is high & S. calcium low/normal with deranged kidney functions. Nutritional rickets- S.phosphate and calcium can be normal or low but never high . Skeletal dysplasia- abnormal bone & cartilage are seen, but blood levels of calcium & phosphorus are usually normal.